Drugs commonly used in pre-anaesthetic medication?
1. Diazepam
2. Scopolamine
3. Morphine
4. All

Correct answer: 4. All

Explanation: A i.e. Diazepam; B i.e. Scopolamine; C i.e. Morphine